An order for exhumation can be given by:
1. District collector
2. Additional district magistrate
3. Sub-collector
4. Any of the above

Correct answer: 4. Any of the above

Explanation: Ans. Any of the above